Sacrococcygeal teratoma is associated with:
1. Meningocele
2. Cardiac detects
3. Hepatic cysts
4. Cystic adenoid malformation

Correct answer: 1. Meningocele

Explanation: Ans: A (Menigocele) Ref: Robbins and Cotran Pathologic Basis of Disease: 8th editionExplanation:Sacrococcygeal TeratomasMost common teratomas of childhoodAccounts for 40% or more of casesFour times more common in girlsApproximately 10% of sacrococcygeal teratomas are associated with congenital anomaliesPrimarily defects of the hindgut and cloacal regionMid line defectsMeningocele and spina bifidaApproximately 75% of these tumors are mature teratomas, and about 12% are unequivocally malignant and lethal. The remainder is immature teratomas.Most of the benign teratomas are encountered in younger infants (<4 months), whereas children with malignant lesions tend to be older.Other sites for teratomas in childhood include:TestisOvariesMediastinumRetroperitoneumHead and neck.